A patient with pneumonia for 5 days is admitted to the hospital in altered sensorium. He suddenly ceases to recognize the doctor and staff. He thinks that he is in jail and complains of scorpion attacking him. His probable diagnosis is:
1. Acute dementia
2. Acute delirium
3. Acute schizophrenia
4. Acute paranoia

Correct answer: 2. Acute delirium

Explanation: History of Medical disorder (pneumonia) Followed by disturbances in consciousness (altered sensorium), disorientation (failure to recognize doctor and staff and thinking that he is in jail) and Hallucinations (scorpions attacking) is suggestive of delirium.